Which is Less nephrotoxic?
1. Iodixanol
2. Diatrizoate
3. Metrizoate
4. Ioxaglate

Correct answer: 1. Iodixanol

Explanation: Contrast Agents with High Iodine:particle ratio tends to be less nephrotoxic Iodixanol is Isoosmolar contrast agent , Nonionic Dimer with Iodine :Particle Ratio of 6:1 and tends to be less nephrotoxic than the other iodinated compounds given here Contrast-induced nephropathy (CIN) Classically defined as a serum creatinine increase of at least 25% or an absolute increase in serum creatinine of 0.5mg/dL after using iodine contrast agent without another clear cause for acute kidney injury within 48-72hrs of Intravenous contrast Markers of CIN Serum Cystatin C levels Neutrophil Gelatinase associated lipocalcin(NAGL) eGFR<60ml/min For prevention- Maintain Hydration